Amino acid linking Kreb's cycle & urea cycle:-
1. Aspartate
2. Fumarate
3. Alanine
4. Arginine

Correct answer: 1. Aspartate

Explanation: Urea cycle andTCA Cycle is linked by three way Fumarate in urea cycle is the most important integrating point with TCA cycle. Fumarate is converted to malate and then to oxaloacetate in TCA cycle. Oxaloacetate undergoes transamination to produce aspartate which enters urea cycle. However, Fumarate is not an amino acid so amino acid linking Kreb's cycle and Urea cycle is aspartate. Fig- Kreb's Bicycle Extra information: 12 ATPs are generated in the TCA cycle while 4 ATPs are utilized for UREA CYCLE. The CO2 liberated in the TCA cycle (in the mitochondria) can be utilized in the urea cycle